Which of the following statement is true about Functional residual capacity:
1. Tidal volume + volume expired forcefully
2. Volume remaining after forced expiration
3. Tidal volume + volume inspired forcefully
4. Volume remaining after normal expiration

Correct answer: 4. Volume remaining after normal expiration

Explanation: Ans. (d) Volume remaining after normal expirationRef.: Ganong25th ed. 1629LUNG VOLUME* Tidal volume (T.V) N= 500 mlAir that moves in or out of the lung with each normal inspiration or expiration# Inspiratory reserve volume (IRV) N= 3300 mlThe air inspired with a maximal inspiratory effort in excess of tidal volume# Expiratory reserve volume (ERV) N= 1000 mlThe air expelled with a maximal expiratory effort t in excess of tidal volume# Residual volume (RV) N= 1200 mlThe amount of air remaining in the lungs even after forced expirationLUNG CAPACITIES* Inspiratory capacity (l-C) = (TV + IRV) N= 3800 mlTotal amount of air that can be breathed in.* Vital capacity; VC = TV + IRV+ERV N= 4800 mlMaximum amount of air that can be expelled out force fully after a maximal (deep) inspiration* Functional residual capacity FRC= ERV+ RV N= 2200 mlIt is the volume of air remaining in the lung after normal expiration (after normal tidal expiration)* Total lung capacity* TLC=TV+ IRV +ERV+RV N= 6000 ml. (4.2-6 lit)The amount of air present in the lung after a maximal inspiration. This is the maximum volume to which the lungs can be expanded.